A sample to look for uric crystal (Gouty tophus) would be submitted to the pathology laboratory in:
1. Formalin
2. Distilled water
3. Alcohol
4. Normal saline

Correct answer: 3. Alcohol

Explanation: C i.e. Alcohol